The following drug acts by blocking reverse transcriptase
1. Zidovudine
2. Acyclovir
3. Amantadine
4. Ribavirin

Correct answer: 1. Zidovudine

Explanation: Zidovudine acts by inhibiting the conversion of RNA to DNA by blocking the enzyme reverse transcriptase. It is a prodrug which has to be converted to triphosphate form to be active Baveja 5th ed Pg.: 519